Causes of Acute Tubular necrosis include:
1. Radiocontrast agents
2. Amphoterecin B
3. Both of the Above
4. None of the Above

Correct answer: 3. Both of the Above

Explanation: Answer is C (Both of the above) All of the options provided can lead to Acute Tubular Necrosis. Abruptio placentae is an established cause of DIC and may thus cause ATN.